Which carcinoma most commonly metastasizes to cervical lymph nodes -
1. Maxillary sinus
2. Posterior tongue
3. Cheek
4. Hard palate

Correct answer: 2. Posterior tongue

Explanation: Ans. is 'b' i.e., Posterior tongue See below Here is the incidence of cervical lymphnode metastasis of various head & Neck tumours Posterior tongue --> 70% (Schwartz 7th/e page 638) Hard palate --> 10-25 % (7thle page 632) Buccal mucosa --> 56% (7th/e page 631) Maxillary Sinus --> Nodal metastases are rare and occur only in 10-15% cases (p 253 E.N.T. Dhingra 3/e)